Maximum number of sodium channels per square micrometer, is present in:
1. Cell body
2. Axon terminal
3. Surface of myelin
4. Nodes of Ranvier

Correct answer: 4. Nodes of Ranvier

Explanation: Ans. D: Nodes of RanvierIn a myelinated neuron, number of sodium channels per square micrometer is:Cell body-50-75Axon terminal-20-75Surface of myelin-Less than 25Nodes of Ranvier-2000-12,000In the initial segment:350-500In unmyelinated neurons, number is about 110